Normal junctional Zone thickness of uterus is
1. 5 mm
2. 10 mm
3. 15 mm
4. 20 mm

Correct answer: 1. 5 mm

Explanation: Junctional zone thickness is normally 5mm.